Studies have shown that complications of prematurity, IUGR are not affected by the time of cesarean section. What is the recommended timing of cesarean section?
1. 37 weeks
2. 38 weeks
3. 39 weeks
4. 40 weeks

Correct answer: 3. 39 weeks

Explanation: Ans. c. 39 weeks Given the balance of risks and benefits associated with cesarean delivery on maternal request, the Committee on obstetric practice offers the following recommendations: In the absence of maternal or fetal indications for cesarean delivery, a plan for vaginal delivery is safe and appropriate and should be recommended. The following is recommended in cases in which cesarean delivery on maternal request is planned: Cesarean delivery on maternal request should not be performed before a gestational age of 39 weeks. Cesarean delivery on maternal request should not be motivated by the unavailability of effective pain management. Cesarean delivery on maternal request particularly is not recommended for women desiring several children, given that the risks of placenta previa, placenta accreta, and gravid hysterectomy increase with each cesarean delivery.